In Ca cervix low grade squamous intraepithelial lesion (LSIL) in Bethesda system involves:
1. CIN I
2. CIN II
3. CIN III
4. Squamous metaplasia

Correct answer: 1. CIN I

Explanation: Ans: A (CINI) "CIN-I is lately described as low grade squamous intraepithelial lesion (LSIL) according to Bethesda classification.CIN-II and CIN-III are described as high grade squamous intraepithelial lesion (HSIL) according to latest Bethesda classification. HSIL have propensity to progress and become invasive, and therefore need investigations and treatment"- Shaws Gynaecology 14th/ 360